A patient presents with decreased vital capacity and total lung volume. What is the most probably diagnosis?
1. Bronchiectasis
2. Sarcoidosis
3. Cystic fibrosis
4. Asthma

Correct answer: 2. Sarcoidosis

Explanation: Decreased vital capacity and decreased total lung volume suggests a restrictive lung disease picture.amogst the options provided sarcoidosis is the only restrictive lung disease Ref Harrison 19th edition pg 2207